Best indicator for monitoring of syphilis treatment
1. VDRL
2. FTA-ABS
3. TPI
4. TPHACovered with exudate

Correct answer: 1. VDRL

Explanation: Ans. (a) VDRL Serological test of syphilis Most sensitive test FTA-ABS Most specific test TPI (not used now) Test of choice for rapid diagnosis RPR Test of choice for evaluation of therapy VDRL Test of choice for diagnosis of congenital syphilis IgM FTA-ABS Now, TPPA has supplanted FTA-ABS as definitive diagnosis test for syphilis.